Fluoride inhibits which enzyme -
1. Enolase
2. Pyruvate dehydrogenase
3. Phosphofructokinase
4. Glucokinase

Correct answer: 1. Enolase

Explanation: Ans. is 'a' i.e., Enolase In glycolysiso Fluoride inhibitso lodoacetate inhibitso Arsenite inhibits- Enclose- Glvceroldehyde 3-phosphate dehydrogenase.- Phosphoglycerate kinaseIn TCA cycleo Fluoroacetate inhibits aconitase non-competitively.o Arsenite inhibits a-ketoglutarate dehydrogenase non-competitively.o Malonate inhibits succinate dehydrogenase competitively.